All of the following statements about synovial cell sarcoma, are true, except.
1. Originate from synovial lining
2. Occur more often at extra-articular sites
3. Usually seen in patients less than 50 years of age
4. Knee and foot are common sites involved

Correct answer: 1. Originate from synovial lining

Explanation: (a) Originate from synovial lining- The term 'synovial cell sarcoma' is however a misnomer as synovial cell sarcomas do not arise from synovium.- Most synovial sarcomas are extra-articular and only less than 10% are intraarticular.Synovial cell sarcoma does not arise from synovial liningThe term synovial sarcoma is a misnomer. The term originates from the histological appearance of cells which can resemble synovial cells. These tumors, however, do not arise from synovial tissue.